Schmutzdecke refers to the following
1. Suspended matter in drinking water
2. Algae in drinking water
3. Algae, plankton, diatoms and bacteria on surface of sand bed filter
4. Alum flocculate on surface of sand bed filter

Correct answer: 3. Algae, plankton, diatoms and bacteria on surface of sand bed filter